The chronic renal failure is most commonly associated with:
1. Respiratory alkalosis
2. Metabolic acidosis
3. Hypoxia
4. Respiratory acidosis

Correct answer: 2. Metabolic acidosis